Euchromatin is the region of DNA that is relatively
1. Uncondensed
2. Condensed
3. Overcondensed
4. Partially condensed

Correct answer: 1. Uncondensed

Explanation: Euchromatin is a lightly packed form of chromatin (DNA, RNA, and protein) that is enriched in genes and is often (but not always) under active transcription. Euchromatin comprises the most active portion of the genome within the cell nucleus. 92% of the human genome is euchromatic. The remainder is called heterochromatin. Ref-Harpers illustrated biochemistry 30/e p694